Osteolytic metastasis is seen with -
1. Lung
2. Kidney
3. Thyroid
4. All of theabove

Correct answer: 4. All of theabove

Explanation: Ans. is 'd' i.e., All of the aboveLung carcinoma GenitourinaryReproductive systemGITAdrenalo Carcinoma - osteolytico Carcinoid - Osteoblastico Renal cell carcinoma - Lytico Wilm's tumor -4 Lytico Bladder cancer --4 lytic occasionally blastico Cervix - lytic or mixedo Uterus - lytico Ovary -4 lytico Testis - lyticoccasionally blastico Prostate - Blastico Stomach - blastic or mixed - lytico Colon - lytic occasionally blastico Rectum - lytico Pheochromocytomaso Carcinoma - lytico Neuroblastoma - lyticBreast - lytic or mixedThyroid - lytic